Mechanism of action of paxclitaxel is
1. Topisomaerse inhibition
2. Increase the polymerization of tubulin
3. Inhibits protein synthesis
4. Alkylation of DNA

Correct answer: 2. Increase the polymerization of tubulin

Explanation: Refer Katzung 10th/893 Refer KDT 6/e p825 Taxanes act by increasing the polymerization of beta tubulin whereas vinca alkaloid cause inhibition of tubulin polymerization. Both of these drugs act by causing the disruption of mitosis and are active in M phase of cell cycle